In the Iceberg phenomenon of diseases, Tip of Iceberg shows
1. Carriers
2. Subclinical cases
3. Clinical illness
4. Latent cases

Correct answer: 3. Clinical illness

Explanation: Ice Berg Phenomenon Tip- Cases - Responsibility of Clinician - Uses diagnosis - 2deg prevention Hidden/Submerged Portion- Carriers/Subclinical/Preclinical and latent cases - Responsibility of Epidemiologist - Uses screening - 2deg prevention